The plateau phase of Myocardial action potential is due to:
1. Eflux of Na+
2. Influx of Ca++
3. Influx of K+
4. Closure of voltage gated K+ channels

Correct answer: 2. Influx of Ca++

Explanation: Influx of Ca++